The chronic carrier of typhoid shed bacilli for -
1. 1 -3 weeks after cure
2. 3 weeks to 3 months after cure
3. 3 months -1 year after cure
4. More than 1 year after cure

Correct answer: 4. More than 1 year after cure

Explanation: Ans. is 'd' i.e., More than 1 year after cure Carriers o Bacilli persist in the gallbladder or kidney and are eliminated in the feces (fecal carriers) or urine (urinary carrier), respectively. o The development of the carrier state is more common in women and in older age groups ( over 40 yrs) o Carriers are the more frequent source of infection than cases. o The urinary carriage is less frequent but more dangerous than the intestinal carrier - Park PSM o The urinary carrier is generally associated with some urinary' lesions such as calculi or schistosomiasis, o Presence of Vi antibody indicates the carrier state,o Carriers may be following types Carriers Convalescent carriers Shed bacilli for 3 weeks to 3 months after clinical cure Temporary carriers Shed bacilli for 3 months to 1 year after clinical cure Chronic carriers Shed bacilli for more than 1 year after clinical cure